True about conscious sedation are all Except
1. CNS depression
2. Patient is conscious
3. Protective reflexes are abolished
4. Patient can obey commands

Correct answer: 3. Protective reflexes are abolished

Explanation: In conscious sedation, protective reflexes are intact (has been explained in previous sessions).(Refer: Morgan and Mikhail's Clinical Anaesthesiology, 5th edition, pg no. 182)